The appearance of cobweb formation in CSF indicates?
1. Pyogenic meningitis
2. Viral meningitis
3. Tuberculous meningitis
4. Fungal meningitis

Correct answer: 3. Tuberculous meningitis

Explanation: c. Tuberculous meningitis(Ref: Nelson's 20/e p 2936-2948, Ghai 8/e p 563-565)Cob web coagulum formation in CSF is a feature of Tuberculous meningitis.